All are amino steroid non depolarizing neuromuscular except -
1. Pancuronium
2. Pipecuronium
3. Gantacurium
4. Vacuronium

Correct answer: 3. Gantacurium

Explanation: Stucture Clinical duration Long acting (>50 min) Intermediate (20-50 min) Short (15-20 min) Ultra-short (<10-12 min) Steroidal Pancuronium Pipecuronium Vecuronium Rocuronium Benzyliso- quinolinium d-Tubocurarine Metacurine Doxacurium Atracurium Cis-atracurium Mivacurium Onium chlorofumarate Gantacurium Phenolic ether Gallamine Diallyl derivative of toxiferine Alcuronium